Which of the following is not part of Hutchinson triad
1. Interstitial keratitis
2. Chemical burns
3. Deafness
4. Hutchinson teeth

Correct answer: 2. Chemical burns

Explanation: Hutchinson triad is seen in congenital syphilis which includes Hutchinson teeth, congenital deafness, and interstitial keratitis. Hutchinson's triad is named after Sir Jonathan Hutchinson. It is a common pattern of presentation for congenital syphilis, and consists of three phenomena: interstitial keratitis, malformed teeth, and eighth nerve deafness.There may also be a deformity on the nose known as saddle nose deformity Reference: Aravind FAQS in Ophthalmology; First Edition; Page no: 81